.The following statements are related to tubercular salpingitis except:
1. The abdominal ostium may be patent with eversion of fimbriae
2. The early lesion may be confused with adenocarcinoma on histology
3. Genital tuberculosis is always secondary and the tubes are invariably the primary sites
4. Salpingitis isthmica nodosa is the exclusive pathology to tuberculosis

Correct answer: 4. Salpingitis isthmica nodosa is the exclusive pathology to tuberculosis

Explanation: • In genital TB abdominal ostium may be patent with eversion of fimbrial called as tobacco pouch appearance. Thus option ‘a’ is correct
• The early lesion may be confused with adenocarcinoma—correct
• Genital TB is always secondary and tubes are invariably the primary sites (i.e. option b is correct i.e. c is correct)
• Salpingitis isthmica nodosa is the exclusive pathology of the tubes incorrect (as it may be seen in endometriosis also)
In some cases of genital TB, nodules are present in the tuber first size in the isthmic part near the uterine cornu, it is called as salpingitis isthmic nodosa
Salpingitis isthmica nodosa is the nodular thickening of the tube due to proliferation of tubal epithelium within the hypertrophied myosalpinx (muscle layer). Exact aetiology is unknown. It is diagnosed radiologically as a small diverticulum. It is however not specific to tubercular infection only. It is also observed in pelvic endometriosis.